Posterior capsule opacities are treated by
1. Argon green laser
2. Lens explantation
3. Nd:YAG Laser
4. Diode laser

Correct answer: 3. Nd:YAG Laser

Explanation: Ans. is c i.e., Nd:YAG Laser * Nd:YAG Laser is used for treatment of posterior capsular opacities commonly seen after cataract surgeries.